A Middle aged man brought to casualty with unilateral headache, right eye congested and painful, with sudden vision loss. The diagnosis is
1. Angle Closure Glaucoma
2. Corneal edema
3. CRVO
4. CRAO

Correct answer: 1. Angle Closure Glaucoma

Explanation: (A) Angle Closure Glaucoma# Angle-closure glaucoma, also known as narrow-angle glaucoma, is caused by blocked drainage canals in the eye, resulting in a sudden rise in intraocular pressure.> This is a much more rare form of glaucoma, which develops very quickly and demands immediate medical attention. Symptoms of angle-closure glaucoma may include:> Hazy or blurred vision: The appearance of rainbow-colored circles around bright lights Severe eye and head pain Nausea or vomiting (accompanying severe eye pain) Sudden sight loss